Valve of Rosenmuller is located at
1. Cystic duct
2. Opening of nasolacrimal duct
3. Junction of lacrimal sac and canaliculus
4. Ampulla of vater

Correct answer: 3. Junction of lacrimal sac and canaliculus

Explanation: A fold of mucous membrane found at the junction between the common canaliculus and the lacrimal sac. It is not strictly a valve because fluids can be blown back to emerge at the puncta. It is not always fully developed. ref -medscape.com